Keratometer is used for ?
1. Corneal thickness
2. Corneal diameter
3. Corneal curvature
4. Distance between cornea and pupil

Correct answer: 3. Corneal curvature

Explanation: Ans. is 'c' i.e., Corneal curvature